Which of the following is not a feature of Medial medullary syndrome?
1. Contralateral hemiparesis
2. Ipsilateral paralysis of tongue
3. Contralateral loss of proprioception
4. Horner's sydrome

Correct answer: 4. Horner's sydrome

Explanation: Horner's syndrome occurs due to a lesion involving the sympathetic fibers. It is seen in lateral medullary syndrome. Medial medullary syndrome occurs d/t occlusion of anterior spinal artery. CN XII :Ipsilateral paralysis of the tongue Pyramidal tract :Contralateral hemiplegia Medial lemniscus : Impaired tactile and proprioception over the contralateral half of the body